Pressure difference of 5 mmHg between the two upper limbs occurs in which congenital heart disease?
1. TOF
2. TGA
3. HOCK
4. Supra-valvular aortic stenosis

Correct answer: 4. Supra-valvular aortic stenosis

Explanation: Answer- D. Supra-valvular aortic stenosisBlood pressure difference of 5 mm of Hg between two upper limbs can occur in congenital heart disease- Supra-valvular aortic stenosis